Drug of choice for bisphosphonate resistant osteoporosis :
1. Teriparatide
2. Denosumab
3. Anakinra
4. Calcitonin

Correct answer: 1. Teriparatide

Explanation: Drug of choice for both senile and postmenopausal osteoporosis are Bisphosphonates. However, where osteoporosis is Resistant to bisphosphonates, Teriparatide has shown good results.